Immunoglobulin found in bronchial secretion:
1. IgA
2. IgG
3. IgM
4. IgE

Correct answer: 1. IgA

Explanation: Ref: Microbiology by Ananthanarayan and Paniker, 8th ed. pg. 100Immunoglobulins and their salient featuresImmuno-globulinsSalient featuresIgGMost abundant Ig, consists of about 80%Marker of chronic infectionOnly Ig that Can cross placenta (lgG1 subtype)IgA2nd most abundant, 10-13%Found in glandular secretion like saliva, tear, ileum, and mucosal secretion like bronchial secretionIgM5-8% of total Ig; aka pentameric Ig.First Ig to be synthesized by fetus (20 weeks AOG) Marker of acute infectionIgDPresent mostly intravascularServe as recognition receptor for antigensIgEMostly extravascular in distribution Highly elevated levels in case of type-1 HPS reaction Produced chiefly in the linings of respiratory and intestinal tracts